In inflammatory carcinoma breast with metastasis to axilla, treatment of choice:
1. NACT + MRM + Radiotherapy
2. Radical mastectomy plus chemotherapy
3. Radical mastectomy plus radiotherapy
4. Chemotherapy followed by hormone therapy

Correct answer: 1. NACT + MRM + Radiotherapy

Explanation: Hallmark of inflammatory breast Ca is diffuse tumour involvement of dermal lymphatic channel breast & overlying skin, often without an underlying tumour mass. Presents with inflammatory changes like erythema, edema (peau de orange) warmth as a result of lymphatic obstruction. At least 33% skin over breast involved. History of rapid onset & progression. Inflammatory breast Ca is a clinical diagnosis & can occur with tumour of ductal or lobular histology Inflammatory breast Ca = stage T4d, corresponds to stage IIIB i.e. locally advanced breast Ca. Rx: NACT + MRM + .